All are true about cluster sampling except?
1. Sample size is same as that of simple random sampling
2. It is a two stage sampling
3. It is cheapter than other methods of sampling
4. It has a disadvantage of higher sampling error

Correct answer: 1. Sample size is same as that of simple random sampling